Doc for Listeria Monocytogenes is
1. Amoxycillin
2. Ampicillin
3. Amikacin
4. Ceftriaxone

Correct answer: 2. Ampicillin

Explanation: Doc - Ampicillin
Cotrimoxazole in case of penicillin allergy.